Cells found in the interstitium of the ovary that resemble steroid secreting cells and may secrete androgens in the human ovary are:
1. Ovarian hilar cells
2. Corpus albicans
3. Corona radiata cells
4. Granulosa lutein cells

Correct answer: 1. Ovarian hilar cells

Explanation: Immediately following ovulation, the cells of the mature follicle are transformed into a corpus luteum. This ovarian structure persists for only 14 days following ovulation. The follicular cells become the granulosa lutein cells and are associated with increased secretion of progesterone. The theca interna cells become the theca lutein cells that are more peripherally located on the corpus luteum. The cells of the corona radiata remain with the mature oocyte, at least until fertilization occurs. The corpus albicans is formed after degeneration of the corpus luteum, in which the granulosa lutein cells undergo autolysis and a hyaline material accumulates within the cellular remnants of the former corpus luteum. It will eventually blend into the stromal tissue of the ovary. The ovarian hilar cells are cells found in the hilum of the ovary and may be androgen secreting cells. Ref: Mescher A.L. (2013). Chapter 22. The Female Reproductive System. In A.L. Mescher (Ed), Junqueira's Basic Histology, 13e.